Tissue transplanted between two people of identical genetic makeup is called as?
1. Allograft
2. Isograft
3. Xenograft
4. Autograft

Correct answer: 2. Isograft

Explanation: Ans. is 'b' i.e., Isograft * Autograft (autogenicgraft): Graft from self.* Isograft (syngraft): Graft from genetically identical person, e.g. identical twin.* Allograft (homograft or allogenic graft): Graft from genetically unrelated member of same species.* Xenograft (heterograft): Graft from different species.